Antibody in asthma treatment-
1. Omalizumab
2. Rituximab
3. Transtusuzumab
4. Daclizumab

Correct answer: 1. Omalizumab

Explanation: Ans. is 'a' i.e., OmalizumabOmalizumabo Omalizumab is an anti IgE agent approved by the (FDA) for use in patients age 12 and above with moderate to severe persistent allergic asthma with : -An IgE level of30-700 lu/ml.Positive allergen skin or specific IgE tests to a perenmial allergen andIncomplete symptom control with inhaled glucocorticoid treatment.o Omalizumab is administered by "subcutaneous injection " every mo to four weeks in a dose that is determined by- body weights and the level of serum IgE.o Omalizumab produces 25% reduction in rate of asthma exacerbations.o The response to omalizumab therapy is variable and difficult to predict with overall response rates in patients with moderate to severe asthma averaging 30-50%.o A minimum of 12 weeks of treatment is necessary to determine the efficacy1 ofanti-IgE therapy.